Which of the following is true about Odontogenic keratocyst?
1. Most common in females
2. Not pre malignant
3. Seen in posterior mandible
4. Treatment is observation

Correct answer: 3. Seen in posterior mandible

Explanation: Odontogenic keratocyst has risk for SCC transformation. Treatment is removal.